A patient with alkaline urine which is cloudy with plenty of pus cells is suffering from infection with ?
1. E. coli
2. Proteus
3. T.B.
4. None

Correct answer: 2. Proteus

Explanation: Ans. is 'b' i.e., Proteus